Ratio between blood ethyl alcohol to urine ethyl alcohol concentration is:
1. 2:01
2. 2:03
3. 01:01.3
4. 03:03.3

Correct answer: 3. 01:01.3

Explanation: Urine has about 25% more water than an equal volume of blood, so its concentration of alcohol would be about 25% higher than in blood collected at the same time. In order to compare the blood and urine, a ratio of 1:1.33 is used when urine and blood are in equilibrium. Ref: The Essentials of Forensic Medicine and Toxicology by Narayan Reddy, 27th edition, Page 506.